Sentinel node of gall bladder is -
1. Virchow's nodes
2. Iris nodes
3. Clouquet node
4. Lymphnode of lund

Correct answer: 4. Lymphnode of lund

Explanation: Ans. is 'd' i.e., Lymphnode of lund